Which one of the following is an absolute contraindication to the use of thrombolytic agent in the setting off an acute anterior wall myocardial infarction -
1. History of CVA with hemiparesis one month ago
2. Diabetic retinopathy
3. Patient's age more thari 70 years
4. Patient is on warfarin for A.F. with INR ration 1:8

Correct answer: 1. History of CVA with hemiparesis one month ago